Which of the following is a tocolytic agent ?
1. Prazosin
2. Ritodrine
3. Yohimbine
4. Propranolol

Correct answer: 2. Ritodrine